Doppler ultrasound in pregnancy is useful to detect all of the following , except;
1. Cardiovascular malformation
2. Placental vascular anomalies like Vasa Previa
3. Abdominal masses
4. IUGR

Correct answer: 3. Abdominal masses

Explanation: Color Doppler evaluation in pregnancy Echocardiography is done for:Systemic veins (vena cavae and ductus venosus)Pulmonary veinsForamen ovaleAtrioventricular valvesAtrial and ventricular septaeAortic and pulmonary valvesDuctus aeriosusAortic archUmbilical artery and vein Doppler is also used for calculating the umblical artery flow patterns to asses blood flow to the fetus and is an important tool in antepartum surviellance for high risk pregnancies